Plasma expanders are used in :
1. Severe anemia
2. Severe trauma
3. Pulmonary oedema
4. Cardiac failure

Correct answer: 2. Severe trauma